According to American society of Anaesthelogists the physical status of a patient with severe incapacitating systemic disease that is a constant threat to life may be classified as:
1. ASA 1
2. ASA 2
3. ASA 3
4. ASA 4

Correct answer: 4. ASA 4